Flower petal appearance in fundus flourescein angiography is in
1. Cystoid macular edema
2. Retinitis pigmentosa
3. Central serous retinopathy
4. Age related macular degeneration

Correct answer: 1. Cystoid macular edema

Explanation: Flower petal appearance  - CME.
Smoke stack pattern or Ink blot sign - Central serous retinopathy.